Enzyme deficient in alkaptonuria -
1. Phenylalanine hydroxylase
2. Homogentisate oxidase
3. Tyrosinase
4. None

Correct answer: 2. Homogentisate oxidase

Explanation: Ans. is 'b' i.e., Homogentisate oxidaseo Has been explained in previous sessions